A most common organism isolated in breast abscess
1. Streptococcus
2. Staphylococcus aureus
3. Klebsiella
4. E coli

Correct answer: 2. Staphylococcus aureus

Explanation: Most common organism  responsible is staphylococcus aureus.
In lactating mothers causative organisms spread from nasopharynx of the infant.